Study of molecular structure is done
1. Electron microscopy
2. Ion exchange chromatography
3. X-ray crystallography
4. Agarose gel electrophoresis

Correct answer: 3. X-ray crystallography

Explanation: Ans. c. X-ray crystallography